Content of meningocele?
1. Dura mater
2. Spinal cord
3. Brain mater
4. Cauda equina

Correct answer: 1. Dura mater

Explanation: Ans. is 'a' i.e., Dura mater [Ref: Ghai 8th/e p. 576)Meningocele* There is protrusion of meninges (dura mater, arachnoid mater) through a defect in neural arch. This contains only CSF. There may be associated genital tract abnormalities, e.g. vaginal septa and rectovaginal fistula.Myelomeningocele (meningomyelocele)* There is protrusion of meninges along with some neural elements, e.g. spinal cord or cauda equina. It is the most severe form. The commonest site of lesion is lumbosacral region.Encephalocele* There is protrusion of brain tissue (cerebral cortex, cerebellum or brainstem) through a cranial defect (cranium bifidum). Most common site is occipital region. Hydrocephalus can occur due to aqueductal stenosis, chiari malformation or Dandy-Walker syndrome.